What is oliguria -
1. Excretion of less than 300 ml in 24 hrs
2. Excretion of less than 500 ml in 24 hrs
3. Excretion of less than 300 ml in 12 hrs
4. Excretion of less than 100 ml in 24 hrs

Correct answer: 2. Excretion of less than 500 ml in 24 hrs